How to differentiate staphylococci and micrococci
1. Catalase test
2. Hugh and Leifson's oxidation-fermentation test
3. Gram staining
4. AFS

Correct answer: 2. Hugh and Leifson's oxidation-fermentation test

Explanation: Micrococci are gram-positive cocci which can be mistaken for S.aureus in culture but are larger and mostly in pairs, tetrads or irregular clusters. Micrococci is catalase and modified oxidase positive and oxidative in Hugh and Leifson's oxidation-fermentation test. Ref: Textbook of Ananthanarayan and paniker's; 10th Edition; Pg:209